Neuro surgical intervention may be necessitated in all of the following Except
1. SDH
2. EDH
3. Depressed fracture
4. Diffuse axonal injury

Correct answer: 4. Diffuse axonal injury

Explanation: Diffuse axonal injury (DAI) is a form of traumatic brain injury. It happens when the brain rapidly shifts inside the skull as an injury is occurring. The long connecting fibers in the brain called axons are sheared as the brain rapidly accelerates and decelerates inside the hard bone of the skull. DAI typically causes injury to many part of the brain, and people who suffer a DAI are usually left in a coma. The changes in the brain are often very tiny and can be difficult to detect using CT or MRI scans. It is one of the most common types of traumatic brain injury and also one of the most devastating. The prevailing symptom of DAI is loss of consciousness. This typically lasts six or more hours. If the DAI is mild, then people might remain conscious but display other signs of brain damage. These symptoms can be extremely varied, as they depend upon which area of the brain has been damaged. They can include: disorientation or confusion headache nausea or vomiting drowsiness or fatigue trouble sleeping sleeping longer than normal loss of balance or dizziness Ref: